Metoclopromide -
1. Inhibits cholinergic smooth muscle stimulation in the Gastrointestinal tract
2. Increases lower esophagial sphinctor pressure
3. Stimulates D2 receptors
4. Enhances colonic motility

Correct answer: 2. Increases lower esophagial sphinctor pressure

Explanation: Ans. is 'b' i.e., Increases lower esophageal sphinctor pressure Effects of metoclopramide on GIT Metoclopramide has 5-HT4 agonistic and D2 antagonistic activity in GIT. o These two actions result in enhanced cholinergic smooth muscle stimulation. o Metoclopramide has prominent effect on upper GIT i) Increases gastric peristalsis ii) Relaxes pylorus and first part of duodenum iii) Tone of lower esophageal sphinctor is increased o Metoclopramide has no or minimal effect on lower GIT --> increases intestinal motility to some extent, but has no action on colonic motility.